Treatment of choice in hypertension with diabetes mellitus is
1. Beta blockers
2. Thiazides
3. ACE Inhibitors
4. Calcium channel blockers

Correct answer: 3. ACE Inhibitors

Explanation: The angiotensin-converting-enzyme (ACE)inhibitors are able to slow the progression of diabetic nephropathy by reducing the glomerular hypertension that causes it. ... Severe or resistant hypertension usually requires treatment with combinations ofdrugs, including a diuretic. Refer kDT 6/e p551